A new born presents with discharge of urine from the umbilicus for 3 days. Diagnosis is
1. Meckel's diverticulum
2. Mesenteric cysts
3. Urachal fistula
4. Omphalocele

Correct answer: 3. Urachal fistula

Explanation: Urachal fistula or patent urachus is between dome of the urinary bladder and umbilicus. Presents with persistent discharge often stained with urine from the umbilicus at birth or commencing soon after. Investigation : fistulogram, US abdomen. Treatment : Surgical excision of tract and closure of distal obstruction after exclusion of distal obstruction . In adults urachal cyst my get infected and present as urachal fistula and may harbour adenocarcinoma... Ref: Bailey and Love.27th edition.chapter 77 pg no.1438 Reference : page 739-40 SRB's manual of surgery 5th edition